Chinese herb nephropathy is caused by
1. Mushroom
2. Lead poisoning
3. Aristolochic acid
4. Tenofovir

Correct answer: 3. Aristolochic acid

Explanation: Aristolochic acid causes Chinese herb nephropathy and Balkan nephropathy.